Fetishism is a sexual perversion characterized by:
1. Sexual focus on children
2. Sexual focus on genital rubbing
3. Sexual pleasure for pain
4. Sexual pleasure derived from inanimate objects

Correct answer: 4. Sexual pleasure derived from inanimate objects

Explanation: Ans. Sexual pleasure derived from inanimate objects